commonest benign tumor of the esophagus?
1. Leiomyoma
2. Papilloma
3. Adenoma
4. Hemangioma

Correct answer: 1. Leiomyoma

Explanation: Ans is a. i.e. Leiomyoma "Leiomyomas constitute more than 50% of benign esophageal tumors "-Schwartz